Crown completion of Maxillary 1st premolar occur
1. At birth
2. 1 ½ year
3. 2 ½ to 3 year
4. 5-6 year

Correct answer: 4. 5-6 year